According to IUB system, hydrolases belong to which class ?
1. EC-1
2. EC-2
3. EC-3
4. EC-4

Correct answer: 3. EC-3

Explanation: Ans. is 'c' i.e., EC-3IUB classificationEnzyme code number (EC number)EnzymeEC-1OxidoreductaseEC-2TransferaseEC-3HydrolasesEC-4LyasesEC-5IsomerasesEC-6Ligases